Which of the following substance is used as biological therapy for malignant melanoma?
1. IL-2
2. Infliximab
3. Etanercept
4. All of the above

Correct answer: 1. IL-2

Explanation: Interleukin-2 and interferon are two examples of BRMs being tested for the treatment of advanced malignant melanoma. Etanercept(Enbrel) and infliximab(Remicade) are examples of commercially available injectable TNF-blocking treatments for patients with severe rheumatoid arthritis.